Imaging modality for confirming the diagnosis of hronchieactasis is -
1. Chest CT Scan
2. MRI chest
3. X - ray Chest
4. Bronchoscopy

Correct answer: 1. Chest CT Scan

Explanation: Ans. is 'a' i.e., Chest CT Scan Investigations of choice in respiratory systemDiseaseInvestigation* Intersitial lung disease* Bronchiectasis* HRCT* HRCT (1st choice)* Bronchography (2nd choice)* Pulmonary embolism* CT with i.v. Contrast (1st choice)* V/Q scan (2nd choice)* Solitary pulmonary nodule* Calcification* Pulmonary malignancy* Superior sulcus or pancoast tumor* CT scan* CT scan* CT scan (except in superior sulcus or pancoast tumor)* MRI